Which of the following is false regarding Vasa Previa?
1. Maternal mortality is around 80%
2. Seen in Velamentous insertion of placenta
3. Unsupported blood vessels lie below the presenting part
4. Apt test is diagnostic

Correct answer: 1. Maternal mortality is around 80%

Explanation: Maternal mortality is not seen in Vasa Previa whereas fetal mortality is seen. Vasa Previa: The unsupported umbilical blood vessels in Velamentous placenta lie below the presenting part and run across cervical os. The vessels are torn either spontaneously or during rupture of membranes. Color Doppler is helpful in antenatal diagnosis Fetal mortality is high (50%) due to fetal exanguination. Bleeding is fetal in origin and not maternal. Alkali debnaturation test (or Apt test) is done to distinguish fetal blood from maternal blood using NaOH as reagent. It is a qualitative test.. Ref: DC Dutta's Textbook of Obstetrics 8th edition Pgno: 301